The most common complication following appendicectomy is
1. Intraabdominal abscess
2. Ileus
3. Adhesive intestinal obstruction
4. Wound infection

Correct answer: 4. Wound infection

Explanation: Wound infection is the most common postoperative complication, occurring in 5- 10% of all patients.Intraabdominal abscess has become a relatively rare complication after appendicectomy with use of preoperative antibiotics.Adhesive intestinal obstruction is the most common late complication of appendicectomy